Which of the following properties represents springback or springiness:
1. Resilency.
2. Toughness.
3. Yield strength.
4. Elasticity.

Correct answer: 1. Resilency.